In an inflammatory response, macrophages are usually derived from -
1. Monocytes
2. Reticuloendothelial cells
3. Neutrophils
4. Lymphocytes

Correct answer: 1. Monocytes

Explanation: When a monocyte enters damaged tissue through the endothelium of a blood vessel, a process known as the leukocyte extravasation, it undergoes a series of changes to become a macrophage. Reff: Ananthanarayanan & Panikers textbook of microbiology 9th edition pg: 137